Healthy worker effect is bias of which type?
1. Selection bias
2. Recall bias
3. Confounding bias
4. Berksonian bias

Correct answer: 1. Selection bias